If hypersensitivity develops in a glass ionomer filled tooth, indicated treatment:
1. Extraction
2. Remove the restoration and place a sedative dressing
3. Remove the restoration perform pulpectomy
4. No treatment is necessary

Correct answer: 2. Remove the restoration and place a sedative dressing